Most common ligament injured in ankle sprain is -
1. Anterior talofibular
2. Posterior talofibular
3. Deltoid ligament
4. Calcaneofibular ligament

Correct answer: 1. Anterior talofibular

Explanation: (A) (Anterior talofibular ligament) (157 Maheshwari 4th)ANKLE SPRAIN:* The lateral collateral ligament is commonly sprained, mostly so the anterior talo-fibular component.Points to remember* Tinel's sign - Brisk percussion along the course of an injured nerve may elicit a tingling sensation in the distal distribution of nerve. The point of hypersensitivity marks the site of abnormal nerve sprouting. It is progresses distally at successive visits this signifies regeneration***. If it remains unchanged this suggests a local neuroma.* Felon is the infection of distal pulp space. Most common complication of osteomyelitis.* Carries sicca - shoulder joint tuberculosis, at times, may not produce any pus and hence is called 'caries sicca' and should always be considered in D/D of much commoner shoulder problem 'Frozen shoulder'.* Brown tumour is an expansile lytic lesions, which appears like a bone tumour, generally affecting maxilla/mandible in Hyperparathyroidism subperiosteal resorption of the phalanges is a diagnostic feature of hyperparathyroidism.* Windswept deformity is seen in Rickets, epiphyseal dysplasia, Rheumatoid arthritis.* Cast syndrome {Superior mesentric artery syndrome) is gastric dilatation with partial or complete obstruction of the duodenum. Most frequently seen in who have had spinal surgery or who are in hipspika or body casts**** Sausage digit - refers to diffuse fusiform swelling of the digit due to soft tissue inflammation from underlying arthritis or dactylitis - causes are Psoriatic arthritis, Osteomyelitis, sickle cell anaemia, Sarcoidosis, Spina ventosa.* Shoulder joint is the commonest joint in human body to dislocate, Anterior type (95%) is commonest.i)Prepatellar bursitisHousemaid's kneeii)Infrapatellar bursitisClergyman's kneeiii)Olecranon bursitisStudent's elbowiv)On Lateral malleolusTailor's ankle* Causes of Neuropathic Joint disease (Charcoals Joint)DM (Most common)AmyloidosesTabes dorsalisLeprosyMeningomyeloceleCongenital indifference to painSyringomyeliaPeroneal muscular atrophy GEMS OF ORTHOPAEDICS1Nicholas Andry-de-boid-Regard- was a French physician and writer. He coined the word "orthopaedics" in French as orthopedic. Derived from Greek words orthos ("correct" "straight") and paidion ("child") in 1741.2.Jean-Andre-Venal - He established the first orthopaedic institute in 1780, Venel is regarded by many as the "Father of orthopaedics" because of his development of the practical application.3.Dr. Antonius Mathijsen - Dutch army surgeon who first used plaster of paris to fixate broken bones to a village physician in Budel.4.Vittorio - Putti - he showed the method of treatment ankylosis, CDH, post traumatic deformities, shortening of the limb, paralysis and bone tumours.5.Themistocles, Gluck - First total replacement was performed in Berlin in 1890.6.Gerhard Kuntscher - who inaugurated the intramedullary nailing of long bone fractures.7.Ruth-Jackson- first female board certified orthopaedic surgeon in the US. Expert in problems of the foot and ankle joints and those cervical spine.8.Masaki Wantanabe - was a Japanese orthopaedic surgeon, sometimes called the "founder of modem arthroscopy"9.Gavril Abramovich Ilizarov - was a Soviet physician, known for inventing the Ilizarow apparatus for lengthening limb bones and for his eponymous surgery.10.John Nevil Insall - English orthopaedic surgeon, who contributed extensively to the advancement of total knee replacement surgery. He designed four models of widely used system.11.Dr. Stephen Burkhart - First surgeon in the world to develop, use and teach arthroscopic technology for treating shoulder injuries.12.Sir John Charnley - British orthopaedic surgeon. He pioneered the hip replacement opearation which is now one of the most common operations both in UK and elsewhere in the world, and created the " Wrightington centre for surgery".